When osmotic fragility is normal, RBC's begin to hemolyse when suspended in saline ?
1. 0.33%
2. 0.48%
3. 0.90%
4. 1.20%

Correct answer: 2. 0.48%

Explanation: Ans. is 'b' i.e., 0.48%